Arrange the duration of treatment of the following conditions in the increasing order 1. Treatment of P. vivax malaria 2. Treatment of multibacillary leprosy 3. Treatment of catergory 1 tuberculosis 4. Treatment of Hypertension
1. 1-3-4-2
2. 3-2-4-1
3. 1-3-2-4
4. 4-3-1-2

Correct answer: 3. 1-3-2-4

Explanation: Treatment of malaria is for 3 days. Multibacillary leprosy is treated for 12 months. Category 1 tuberculosis is treated for 6 months Hypertension treatment is life long